Which of the following crystals found in Pseudo gout:
1. Monosodium urate mohohydrate
2. Calcium pyrophosphate dihydrate
3. Calcium hydroxyapatite
4. Alkaline phosphatase

Correct answer: 2. Calcium pyrophosphate dihydrate

Explanation: (Calcium pyrophosphate dihydrate): Ref: 69- 73-ACRYSTALDISEASE1. Monosodium urate- Gout2. Calcium pyrophosphate dihydrate- Chondrocalcinosis- Pseudogout- Chronic pyrophosphate arthropathy3. Calcium hydroxyapatitie- Acute or subacute periarthritis- Chronic destructive arthritisGout: - Smaller joint (metacarpophalangeal joint of the big toes commonest site) pain intense, joint inflamed: Hyperuricemia, urate crystals are needle like 5-20 cm, long, and exhibit strong negative birefringencePSEUDO-GOUT: - Large joint, pain moderate, joint swollen, chondrocalcinosis, Pyrophosphate crystals are rhomboid-shaped, slightly smaller than urate crystals and show weak positive birefringence